The most common inherited disorder of cholangiocyte injury is:
1. Cystic fibrosis
2. Dubin johnson
3. Crigler najjar type II
4. Wilson disease

Correct answer: 1. Cystic fibrosis

Explanation: The most common inherited disorder of cholangiocyte injury is cystic fibrosis. It affects secretory epithelia and is linked to mutations in the CFTR gene, which encodes the cystic fibrosis transmembrane conductance regulator ion channel protein. Cholestatic disease occurs in 30% of adults with this disorder. Ref:Sleisenger and Fordtran's,E-9,P-329